Maximum increase in α-fetoprotein increased is seen with -
1. Hepato-cellular-carcinoma
2. Benign-mature teratoma
3. Chorio-carcinoma
4. Teratoma

Correct answer: 1. Hepato-cellular-carcinoma